A herd immunity of over - % is considered necessary to prevent epidemic spread of diphtheria -
1. 50%
2. 55%
3. 60%
4. 70%

Correct answer: 4. 70%

Explanation: A herd immunity of over 70% is considered necessary to prevent epidemic spread, but some believe that the critical level may be as high as 90%.